The concentration of abate recommended for killing cyclops is -
1. 2 mg/L
2. 1 mg/L
3. 5 mg/L
4. 0 mg/L

Correct answer: 2. 1 mg/L

Explanation: Control of cyclops: Straining through clothes Boiling at 60degC Chlorination at 5ppm concentration Lime 4 gram per gallon of water Abate 1 mg/L Barbel fish and Gambusia fish REFERENCE: PARK'S TEXTBOOK OF PREVENTIVE AND SOCIAL MEDICINE, 25TH EDITION, PG NO. 842